Flame cells are seen in -
1. Multiple myleoma
2. Ewings sarcoma
3. Luekemia
4. Osteosarcoma

Correct answer: 1. Multiple myleoma